What is the value of color index in microcytic hypochromic anemia associated with pregnancy :
1. One
2. Less than one
3. More than one
4. Three

Correct answer: 2. Less than one

Explanation: Less than one